Hess test is done to assess -
1. Bleeding time
2. Capillary fragility
3. Clotting time
4. Prothrombin time

Correct answer: 2. Capillary fragility

Explanation: Hess capillary resistance test or tourniquet test is done by tying sphygmomanometer cuff to the upper arm and raising it in between diastolic and systolic pressure for 5 minutes.
Presence of more than 20 petechiae over the cubital fossa is considered a positive test.
The test is positive in increased capillary fragility as well as in thrombocytopenia.